Phlectenular conjunctivitis is -
1. Type I reaction
2. Type II reaction
3. Type III reaction
4. Type IV reaction

Correct answer: 4. Type IV reaction

Explanation: Answer- D. Type IV reactionIt is type IV (delayed) hypersenstivity